College girl appearance of leukocytes are seen in
1. CLL
2. CML
3. ALL
4. Hodgkins lymphoma

Correct answer: 2. CML

Explanation: Convent girl appearance seen in CLL College girl appearance also called garden party appearance seen in CML